Low glycemic index is classified as value less than:
1. 25
2. 45
3. 55
4. 65

Correct answer: 3. 55

Explanation: Concept of glycemic index has utility in management of diabetes and obesity. Classification GI range Example Low GI 55 or less Most fruits and vegetables except potatoes and water melon, pasta beans, lentils Medium GI 56-69 Sucrose, brown rice, basmati rice High GI 70 or more Corn flakes, white bread, candy bar Ref: Park 22nd edition, page 568